Which of the following is a broad spectrum antibiotic:
1. Erythromycin
2. Streptomycin
3. Tetracycline
4. All

Correct answer: 3. Tetracycline